Danger area of neck is situated between
1. Buccopharyngeal and prevertebral fascia
2. Pharyngobasilar and prevertebral fascia
3. Prevertebral and alar fascia
4. Buccopharyngeal and alar fascia

Correct answer: 3. Prevertebral and alar fascia

Explanation: The space between Alar fascia & Prevertebral fascia proper is called danger area as the infection or pus in this place can spread to posterior mediastinum.